True about Histoplasma capsulatum:
1. Dimorphic fungus
2. Causative organism of moniliasis
3. Causative organism of valley fever
4. Capsulated

Correct answer: 1. Dimorphic fungus

Explanation: Ans. is 'a' i.e., Dimorphic fungus(Ref: Ananthanarayan, 8th/e, p. 612; Harrison, 18th/e, p. 1640 and 17th/e, p. 1244) Histoplasma is a non-capsulated dimorphic fungus.About Other Options Moniliasis is caused by Candida.* Valley fever is caused by coccidioides immitis.